During TURP surgeon takes care to dissect above the verumontanum to prevent injury to
1. External urethral sphincter
2. Urethral crest
3. Prostatic utricle
4. Trigone of bladder

Correct answer: 1. External urethral sphincter

Explanation: TURP Damage to the external sphincter is avoided provided one uses the verumontanum as a guide to the most distal point of the resection/vaporisation/enucleation. Ref: Bailey and love 27th edition Pg no : 1465